which of the following is a SSRI
1. clomipramine
2. fluoxetine
3. milnacipran
4. trazadone

Correct answer: 2. fluoxetine

Explanation: SSRI * IMPORTANCE Most widely prescribed antidepressant * MECHANISM Specifically acts on serotonin transporters and increases serotonin in synapse. DRUGS FLUOXETINE FLUVOXAMINE DAPOXETINE CITALOPRAM ESCITALOPRAM ESCITALOPRAM SERTRALINE PAROXETINE USE FLUOXETINE=============CHILDHOOD DEPRESSION FLUVOXAMINE===========OCD DAPOXETINE==============PME ESCITALOPRAM===========HEART SAFE, PATHOLOGICAL EMOTIONS PAROXETINE=========SEDATING, PANIC DISORDER IMPULSE CONTROL DISORDERS PME PARAPHILIA Ref., kaplon and sadock, synopsis of psychiatry, 11 th edition, pg no. 955